Flexibility of clasp depends on
1. Length & Cross section of clasp
2. Amount of tempering & Cold working
3. Composition & structure of material
4. All of above

Correct answer: 4. All of above